Paradoxical action among diuretics is seen with
1. Thiazide
2. Triamterene
3. Spirinolactone
4. Furosemide

Correct answer: 1. Thiazide

Explanation: DIURETICS ARE CONTRAINDICATED IN DIABETES IN WHICH THERE IS AN INCREASED EXCRETION OF URINE But, Thiazides are used in diabetes insipidus- paradoxical action -they create mild hypovolemia which encourages salt and water uptake in the proximal tubule and thus improve nephrogenic diabetes insipidus- action may be mediated through CAMP- poorly understood REF KD Tripathi 8th ed